Champy's plates are?
1. Semirigid fixation with monocortical screws
2. Semirigid fixation with bicortical screws
3. Rigid fixation with bicortical screws
4. Rigid fixation with monocortical screws

Correct answer: 1. Semirigid fixation with monocortical screws